Von Rosen Splint is used in -
1. CTEV
2. CDH
3. Fracture shaft of femur
4. Fracture tibia

Correct answer: 2. CDH

Explanation: Used in CDH

i) Bachelor's or frog leg / lorenz cast
ii) Von-Rosen's splint
iii) Pavlic Harness